The 'Japanese Detergent Suicide Technique' involves mixing of common household chemical to produce :
1. H2S and other poisonous gases
2. Deadly foam
3. Deadly acidic compound
4. Deadly fluid cyanide compound

Correct answer: 1. H2S and other poisonous gases